A young girl complains of dryness of the nose and the palate. This would indicate a lesion of which of the following ganglia?,
1. Nodose ganglion
2. Otic ganglion
3. Submandibular ganglion
4. Pterygopalatine ganglion

Correct answer: 4. Pterygopalatine ganglion

Explanation: Postganglionic parasympathetic fibers originating in the pterygopalatine ganglion innervate glands in the palate and nasal mucosa. The postganglionic parasympathetic fibers from the otic ganglion supply the parotid gland, those from the submandibular ganglion supply the submandibular and sublingual glands, and those from the ciliary ganglion supply the ciliary muscle and sphincter pupillae. The nodose (inferior) ganglion of the vagus nerve is a sensory ganglion.